A child with acute respiratory distress shows hyperinflation of unilateral lung in chest X-ray. Most likely cause for above presentation is:
1. Staphylococcal bronchopneumonia
2. Aspiration pneumonia
3. Congenital lobar emphysema
4. Foreign body aspiration

Correct answer: 4. Foreign body aspiration

Explanation: Foreign body aspiration is the commonest cause of acute lung collapse in a child. Ref: Chest Radiology: The Essentials By Jannette Collins, Eric J. Stern, 2007, Page 196